Pathognomic features of Maxillary sinusitis is
1. Mucopus in the middle meatus
2. Inferior turbinate hypertrophy
3. Purulent nasal discharge
4. Atrophic sinusitis

Correct answer: 1. Mucopus in the middle meatus

Explanation: Clinical features of maxillary sinusitis: Constitutional symptoms: fever, general malaise and body ache. Headache Pain: It is typically situated over the jaw but may be referred to gums or teeth. Occasionally, it is referred to the ipsilateral supraorbital margin. Tenderness: pressure or tapping over the anterior wall of the antrum produces pain. Redness and oedema of the cheek: lower eyelid may become puffy. Nasal discharge: Anterior rhinoscopy shows pus/mucopus in the middle meatus. Mucosa of the middle meatus and terminate may appear red and swollen. Postnatal discharge: Pus may be seen on the upper soft palate on posterior rhinoscopy or nasal endoscopy. (Ref: Textbook of Diseases of ENT, 7th edition, PL Dhingra, pg no. 214)